The receptor involved in chemotheraphy induced vomiting is:
1. Histamine H1 receptor
2. Serotonin 5-HT3 receptor
3. Dopamine D2 receptor
4. Opioid m receptor

Correct answer: 2. Serotonin 5-HT3 receptor

Explanation: Ondansetron:- It is the prototype of the new class of selective 5-HT3 antagonists that have shown efficacy in controlling nausea and vomiting following administration of highly emetic anticancer drugs and radiotherapy. Ref:- kd tripathi; pg num:-175 Ondansetron is the DOC for early vomiting and nausea due to chemotheraphy and radiotherapy.